Best procedure in mid rectal Carcinoma is -
1. Abdomino perineal resection
2. Anterior resection
3. Perineal loop
4. Transverse Colostomy

Correct answer: 2. Anterior resection